Jefferson's fracture is:
1. Fracture of Axis
2. Fracture of Atlas
3. Due to fracture of traumatic spondylolisthesis of C2 over C3
4. Avulsion fracture of C7

Correct answer: 2. Fracture of Atlas

Explanation: Fractures of Spine Jefferson Fracture Burst fracture of C1(ATLAS) Mn: JAT Jefferson-ATlas Avulsion fracture of C7 is known as-Clay shoveller fracture Fracture of pedicle of C2 and spondylolisthesis over C3 is hangmanns fracture.